Berson and yellow 1st described the following test
1. RIA
2. ELISA
3. Immuno chromatography
4. Chemiluminescence assay

Correct answer: 1. RIA

Explanation: Berson and Yalow discovered RIA in 1959 by which we can quantify antigens or hormones upto picograms-v sensitive than ELISA RIA /ELISA-indirect immunofluorescence tests Ref: Textbook of Microbiology Baveja 5th ed Pg 115